Tamoxifen is useful in:
1. Carcinoma prostate
2. Carcinoma ovary
3. Estrogen receptor positive breast carcinoma
4. Seminoma

Correct answer: 3. Estrogen receptor positive breast carcinoma